Vortex Vein invasion is commonly seen in –
1. Retinoblastoma
2. Malignant melanoma
3. Optic nerve gliomas
4. Medullo–epitheliomas

Correct answer: 2. Malignant melanoma

Explanation: Vortex vein involvement is seen in uveal malignant melanoma.